All of the following statement are true regarding Q fever except-
1. it is zoonotic disease
2. Human disease is characterized by an interstitial pneumonia
3. No rash is seen
4. Weil felix reaction is very useful for diagnosis

Correct answer: 4. Weil felix reaction is very useful for diagnosis